Which of the following statements about High-Density Lipoprotein (HDL) is false?
1. HDL increases oxidation of LDL
2. HDL reduces foam cell production by LDL
3. HDL is the best predictor of CAD
4. HDL helps to clear lipids from atheromas

Correct answer: 1. HDL increases oxidation of LDL

Explanation: HIGH-DENSITY LIPOPROTEIN (HDL)High-density lipoproteins transport cholesterol from peripheral tissues to the liver. The major apoproteins in HDL are Apo-A1, with some Apo-A2, Apo-C and Apo-E. HDL serves as a plasma reservoir of Apo-C and Apo-E which can be transferred to VLDL and chylomicrons and backClinical Significance of HDL The level of HDL in serum is inversely related to the incidence of myocardial infarction. As it is "antiatherogenic" or "protective" in nature, HDL is known as "good cholesterol" in common parlance (Fig. 12.14). It is convenient to remember that "H" in HDL stands for "Healthy". HDL level below 35 mg/dl increases the risk, while level above 60 mg/dl protects the person from coronary artery diseases.Ref: DM Vasudevan - Textbook of Biochemistry, 6th edition, page no: 155-157